Blow out fracture affects which orbital wall ?
1. Lateral wall
2. Posteromedial part of orbital floor
3. Superior wall
4. Anterosuperior roof

Correct answer: 2. Posteromedial part of orbital floor

Explanation: Ans. is 'b' i.e., Posteromedial part of orbital floor * 'The orbital floor overlies the maxillary sinus without reinforcement, therefore is weaker and more blowouts tend to occur here especially in the posteromedial floor'